A 17-year-old boy fell from his motorcycle and complains of numbness of the lateral part of the arm. Examination reveals that the axillary nerve is severed. Which of the following types of axons is most likely spared?
1. Postganglionic sympathetic axons
2. Somatic afferent axons
3. Preganglionic sympathetic axons
4. General somatic efferent axons

Correct answer: 3. Preganglionic sympathetic axons

Explanation: The axillary nerve contains no preganglionic sympathetic general visceral efferent (GVE) fibers, but it contains postganglionic sympathetic GVE fibers. The axillary nerve also contains GSA, GSE, and general visceral afferent (GVA) fibers.